Myocardial uptake gated acquisition scan (MUGA) is done for –
1. Testing drug toxicity
2. Ventricular function & Anthracyclin induced toxicity
3. Myocardial perfusion
4. None

Correct answer: 2. Ventricular function & Anthracyclin induced toxicity

Explanation: MUGA scan can assess the degree of damage to the myocardium following a MI. More importantly, it can give an accurate and reproducible assessment of left ventricular function. It is used in patients undergoing chemotherapy (e.g. anthracycline) to assess whether the drugs are having an adverse effect on cardiac function.